Not true about NPCDCS-
1. Screening of BP and blood glucose at subcenters
2. Diagnosis & Treatment of subcenters
3. Health promotion at distrct level
4. Single centre for cancer, DM, CVD 8c stroke

Correct answer: 2. Diagnosis & Treatment of subcenters

Explanation: Ans. is 'b' i.e., Diagnosis & Treatment of subcenters National program for prevention and control of cancer, diabetes, cardiovascular diseases and stroke (NPCDCS)* NPCDCS is an integrated programme, which has a single centre for cancer, diabetes, cardiovascular disease and stroke. During the 11th five year plan, 100 identified districts in 21 states have been covered. 20000 subcenters and 7000 CHCs are covered.Diabetes, cardiovascular disease and stroke (DCS) under NPCDCS* The Activities at different levels areA) At subcentres: (i) Health promotion for behavior and life style change; (ii) Screening for BP, and blood glucose in older than 30 years; (iii) referral to CHC of cases of DM and hypertension. There are no facility for diagnosis and treatment.B) At community health centres (CHCs) : (i) Diagnosis and management at NCD clinic, (ii) Home visits by nurse for bedrriden cases; (iii) referral to district hospital for complicated cases.C) At District hospital: (i) Health promotion; (ii) Screening for > 30 years old; (iii) Diagnosis and management of cardiovascular disease; (iv) Home based palliative teratment for, chronic debilitating patients; (v) Specialized facilities.Urban health check-up scheme for DM and High BP* The objectives are1) To screen urban slum population for diabetes and high blood pressure.2) To create database for prevalence of diabetes and high blood pressure in urban slums.3) To sensitize the urban slum population about healthy lifestyle.* The blood sugar and blood pressure will be checked for all > 30 years and al pregnant women of all age.Cancer component under NPCDCS* Various schemes arei) Regional cancer control scheme : Regional cancer centres act as referral centres and get one time assistance of Rs 3 crores during the plan period.ii) Oncology wing development scheme : Central assistance of Rs 3 crores are provided per Institution, usually Government Hospital and Government Medical collegesiii) Decentralized NGO scheme : It is meant for IEC activities and early detection for cancer.iv) IEC activities at central level: Wider publicity about the Anti-Tobacco Legislation.v) Research and training: Training manuals for health professionals, for cytology, for palliative care and for smoking cessation.